Brodies abscesses occurs in
1. Flat bone
2. Small bone
3. Long Bone
4. Seasmoid bone

Correct answer: 3. Long Bone

Explanation: (Long bones): (166, 169- Maheshwari 4th edition)BRODIES ABSCESS (Subacute haematogenous osteomyelitis)* Chronic bone abscess containing pus or Jelly like granulation tissue surrounded by a zone of sclerosis, organism almost always is Staph.aureus* Common in age 11 to 20 years* Common sites are - Proximal and distal tibia and lower and of the femer* Pain, Temperature is usually normal, WBC may be normal, ESR is often raisedRadiology - Circumscribed, round or oval cavity* Sometimes the cavity is surrounded by a halo of sclerosis (the classic Brodies absess)Treatment - Surgical evacuation and curettage is performed under antibiotic cover